Which of the following factor regulates CSF pressure?
1. Rate of CSF formation
2. Rate of CSF absorption
3. Cerebral blood flow
4. Blood pressure

Correct answer: 2. Rate of CSF absorption

Explanation: Rate of CSF formation normally remains constant and is independent of CSF pressure. CSF absorption by arachnoid villi is proportionate to CSF pressure. Ref: Barrett K.E., Barman S.M., Boitano S., Brooks H.L. (2012). Chapter 33. Circulation through Special Regions. In K.E. Barrett, S.M. Barman, S. Boitano, H.L. Brooks (Eds), Ganong's Review of Medical Physiology, 24e.